Residual monomer content of chemically activated resins is
1. 0.2% to 0.5%
2. 2% to 5%
3. 0.3% to 0.5%
4. 3% to 5%

Correct answer: 4. 3% to 5%